The treatment of choice in Taenia saginata and taenia solium infections is -
1. Metronidazole
2. Niclosamide
3. Praziquantel
4. Albendazole

Correct answer: 3. Praziquantel